A patient with recurrent bacterial infections is diagnosed to have a genetic deficiency in myeloper-oxidase. The cause of increased susceptibility to infections is -
1. Defective neutrophil degranulation
2. Defective production of prostaglandins
3. An inability to produce hydroxyhalide radicals
4. Decreased oxygen consumption after phagocytosis

Correct answer: 3. An inability to produce hydroxyhalide radicals

Explanation: Harshmohan textbook of pathology 7th edition. the mechanism of microbicidal killing is by oxidative damage by the production of reactive oxygen metabolites. NADPH Oxidase present in the cell membrane of phagosome reduced oxygen to super oxide ion. Superoxide is subsequently converted to hydrogen peroxide. MPO acts on hydrogen peroxide in the presence of halide to form hypohalous acid. This is called hydrogen peroxide- MPO- halide system . And is more potent anti bacterial system..